Crepitus over skin of the swollen limb should alert on possibility of:
1. Air embolism
2. Gas gangrene
3. Fat embolism
4. DIC

Correct answer: 2. Gas gangrene

Explanation: Ans. Gas gangrene